Predisposing factors for Esophagus Ca-
1. Tylosis
2. Achalasia
3. Barrett's esophagus
4. All

Correct answer: 4. All

Explanation: Ans. is 'a' i.e., Tylosis; 'b' i.e., Achalasia & 'c' i.e., Barrett's esophagus